Which is not a feature of lungs in salt water drowning
1. Ballooned and heavy lungs
2. Tend to flatten out on removing
3. Crepitus is heard on sectioning
4. Shape of sectioned portion is not retained

Correct answer: 3. Crepitus is heard on sectioning

Explanation: Lungs in salt water drowning : Ballooned and heavy lungs Weighs upto 2 kg Purplish or bluish in colour Sodden and jelly like in consistency Tend to flatten out on removing Crepitus is not heard on sectioning Shape of sectioned portion is not retained In fresh water drowning : Size and weight: Ballooned, but light Color: Pinkish Consistency: Emphysematous Shape after removal from body: Retained, do not collapse On cut section: Crepitus is heard, little froth and no fluid